Pathology of endometriosis is best explained by
1. Coelemic metaplasia
2. Endometrial hyperplasia
3. Retrograde menstruation
4. Intraperitoneal immunologic deficit

Correct answer: 3. Retrograde menstruation

Explanation: Retrograde menstruation is the most acceptable theory